Most probable cause for a 70 yr old man presenting with tes-ticular tumour is
1. Seminoma
2. Lymphoma
3. Teratoma
4. Choriocarcinoma

Correct answer: 2. Lymphoma

Explanation: Ans b (Lymphoma) Ref: Bailey & Love's slum practice of surgery 25th editionIncidenceSeminoma - 40%Teratoma - 32%Combined seminoma&teratoma -14%Interstitial tumours -1.5%Lymphoma - 7%Others - 5.5 %Age group< 10 yrs - Yolk sac tumour (most common)20 - 40 yrs - GCT (seminoma)50 yrs - LymphomaSpermatocytic seminoma (10% of the seminomas of which half occur in men over 50 years of age)